Chronic use of which of the following medications is most likely to cause osteoporosis?
1. Lovastatin
2. Propanolol
3. Warfarin
4. Prednisone

Correct answer: 4. Prednisone

Explanation: (Ref: KDT 6/e p286) * Steroids result in osteoporosis on long term use.